The eight-stage classification of human life is proposed by
1. Erikson
2. Pavel
3. Strauss
4. Sigmund freud

Correct answer: 1. Erikson

Explanation: Erik Homberger Erikson was a German-American developmental psychologist and psychoanalyst known for his theory on the psychological development of human